All are true regarding Congenital Syphilis except:
1. Procaine Penicillin can prevent it satisfactorily
2. Infection of the fetus most commonly occurs in 1st trimester
3. Neurological damage with intellectual disability can be a serious consequence
4. If mother has late syphilis, chances of transmission decreases

Correct answer: 2. Infection of the fetus most commonly occurs in 1st trimester

Explanation: When mother is suffering from syphilis, transmission occurs to fetus, but not before the 4th month of pregnancy; It is most likely to occur after 6th month, when Langhan's cell layer has completely atrophied. Infection of fetus is most likely to occur when mother has primary or secondary stages of syphilis than late syphilis. Clinical features include: Hutchinson's triad (deafness, Hutchinson's teeth- Central notched, widely-spaced peg-shaped upper central incisors and interstitial keratitis), snuffles (rhinitis) and Mulberry Molars (sixth year molars with multiple poorly developed cusps) Neurological damage with intellectual disability is one of the most serious consequence of congenital syphilis. Ten daily injections of Procaine penicillin (600,000 Units) are also adequate. According to the CDC, 40% of births to syphilitic mothers are stillborn and 30% are infected. Ref: Park 25th edition Pgno: 563